A 30-year-old theatre actress developed few wrinkles on the face. The treating physician advised her to have local injections of a drug. This drug is also indicated in cervical dystonia and other spastic disorders like cerebral palsy. Very recently, it has also been approved for prophylaxis of migraine. The physician warned of the drug to cause dry mouth and blurring of vision. The actress searched the compound on internet and found the site of action of the drug as shown in the Figure below.Which of the following drug is being talked about?
1. Hemicholinium
2. Vesamicol
3. Botulinum toxin
4. Physostigmine

Correct answer: 3. Botulinum toxin

Explanation: Ans. (C) Botulinum toxin(Ref: KK Sharma 2/e p217)As shown in the diagram, the drug is inhibiting the exocytosis of ACh. Botulinum toxin act by this mechanism. Other features pointing towards botulinum toxin are:Anticholinergic adverse effects (dry mouth, blurring of vision)Use in wrinkles, spastic disorders, prophylaxis of migraine.